Calcium content of bone is increased in -
1. Prolonged immobilisation
2. Glucocorticoid administration
3. Hyperparathyroidism
4. Estrogen supplementation in post menopausal women

Correct answer: 4. Estrogen supplementation in post menopausal women